National Rural Employment GuaranteeAct (NREGA) was passed in -
1. 1947
2. 1991
3. 2005
4. 2008

Correct answer: 3. 2005

Explanation: Ans. is 'c' i.e.. 2005 National Rural Employment Guarantee Act (NREGA) 2005 o N R EGA Act 2005 has been passed by the parliament to provide for '100 days ofguaranteed wage employment in every year' to every household whose adult members volunteer to do 'unskilled manual work'. o Salient features : A household is entitled for '100 days of work in a year'. Rural households to register to local gram panchayat. 'Job card' to be given to every registered household (valid for 5 years). Registered adult must submit an application to gram panchayat (for at least 14 days of continous work). One-third of persons who arc given employment will be women. Allotment for work; 'within 15 days', else he/ she shall he provided unemployment allowance. o The statutory minimum wage applicable to agricultural workers in the state is to be paid. Work will be provided 'within 5 km ' of applicant's residence, else he/she is entitled to 10 percent additional wages towards tanspo and living expenses. Implementation of the act -- The 'grain sabha' will identify works to be taken up. The 'panchayats ' have the principal responsibility for planning. implementation and monitoring, o All agencies implementing NREGA will be accountable to the public for their work. Social audit and right to information will apply to each aspect of implementation.